Features of Binder's syndrome:
1. Maxillonasal dysplasia
2. Class 3 profile
3. Hypoplasia of nasal septum and premaxilla
4. All of the above

Correct answer: 4. All of the above

Explanation: Binder’s Syndrome

Maxillo - nasal dysplasia
Hypoplasia of nasal septum & premaxilla
Absent ANS
Class 3 profile